L1 L2 L3 serovar of chlamydia trachomatis cause ?
1. Trachoma
2. Inclusion conjuctivitis
3. NGU
4. LGV

Correct answer: 4. LGV

Explanation: Ans. is 'd' i.e., LGV